Pasteurella multocida is transmitted by
1. Animal bite
2. Insect bite
3. Droplet infection
4. Sexual contact

Correct answer: 1. Animal bite

Explanation: Pasteurella multocida:Francisella tularensis--Gram-negative bacilli, non-motile,--zoonotic disease--Catalase, oxidase, and indole positive--Wound infection followed by the bite of humans, dogs & cats; bacteremia and sepsis--Gram-negative bacilli, non-motile--Causative agent of Tularemia--Tick-borne disease, Rabbit-bite fever--Capsulated, intracellular--Divided by budding & binary fission --Local ulceration with lymphadenitis, typhoid-like fever with glandular enlargement--Influenza-like respiratory illness--Media - Francis blood dextrose cysteine agar for isolation(Ref: Ananthanarayan 9th edition, p401-402)